Thyroid ablation is done using which radioisotope of Iodine:
1. I-123
2. I-125
3. I-131
4. I-135

Correct answer: 3. I-131

Explanation: Ans: C i.e. I-131 Iodine radioisotopes and uses I-123 is the agent of choice for radioactive iodine uptake/ RAIU I-131 is used as NaI in diagnosis and treatment of thyroid diseases